Mainly elevators in exodontia works on the principle of
1. Lever I.
2. Lever I & II.
3. Lever III
4. Wedge

Correct answer: 1. Lever I.